Which of the following is not an anti-inflammatory
cytokine
1. IL 13
2. IL 10
3. IL 18
4. TGF beta

Correct answer: 3. IL 18